Risk factors for malignant transformation of endometrial polyp are all except
1. Large polyp > 1.5 cm size
2. Abnormal uterine bleeding
3. Use of tamoxifen
4. Use of oral contraceptive.

Correct answer: 4. Use of oral contraceptive.

Explanation: Use of oral contraceptives do not pose risk of malignant transformation of endometrial polyp.